Which is not associated with Down's syndrome?
1. Trisomy 21
2. Mosaic 21
3. Robertsonian translocation 21/21,14/21
4. Deletion 21

Correct answer: 4. Deletion 21